A diabetic patient developed cellulites due to S. aureus, which was found to be methicillin resistant on antibiotic sensitivity testing. All of the following antibiotics would be appropriate except :
1. Linezolid
2. Vancomycin
3. Teicoplanin
4. Imipenem

Correct answer: 4. Imipenem